The most common complication of mumps is:
1. Myocarditis
2. Orchitis
3. Uveitis
4. Conjunctivitis

Correct answer: 2. Orchitis